Vitamin k associated clotting factors are
1. 9,10
2. 1,5
3. 7,8
4. 1,81

Correct answer: 1. 9,10

Explanation: Ref Robbins 8/e 118-119 ; 9/e p 119 Physiologic Effects of Vitamin K Vitamin K serves as an essential cofactor for a carboxylase that catalyzes carboxylation of glutamic acid residues on vitamin K-dependent proteins. The key vitamin K-dependent proteins include: Coagulationproteins: factors II (prothrombin), VII, IX and X.